Symptoms of hypothyroidism:
1. Intolerance to heat
2. Diarrhoea
3. Loss of weight
4. Menstrual disturbance - Menorrhagia

Correct answer: 4. Menstrual disturbance - Menorrhagia